The term "Dementia precox" was coined by
1. Freud
2. Bleuler
3. Kraepelin
4. Schneider

Correct answer: 3. Kraepelin

Explanation: C i.e., Kraepelin Benedict Morel used term demence precoce (in french) for deteriorated patients whose illness began in adolescence. Emil Kraeplin translated it into dementia. PrecoxQ i.e. dementia = deteriorated cognitive process & precox = early onset Eugen Bleuler coined term schizophreniaQ Kahlbaum described catatoniaQ, Hacker decribed hebephrenia